Psoralan 'A' is used in the treatment of ?
1. Pemphigus
2. Vitiligo
3. Pityasis alba
4. Ichtyosis

Correct answer: 2. Vitiligo

Explanation: Ans. is 'b' i.e., Vitiligo o Psoralen and UV-A have synergistic action, therefore they are used in combination as PUVA therapy. o PUVA is used in 1. Psoriasis (most important and most common use) 3. Vitiligo 2. Eczema 4. Cutaneous T-cell lymphoma